Most common bone tumor in hand:
1. Exostosis
2. Giant cell tumor
3. Enchondroma
4. Synovial sarcoma

Correct answer: 3. Enchondroma

Explanation: Ans. (c) Knchondroma